Leucopenia occurs in the following except:
1. Measles
2. Viral hepatitis
3. Typhoid
4. Bacterial endocarditis

Correct answer: 4. Bacterial endocarditis